True about clavicle?
1. Endochondral ossification
2. Vertical
3. No medullary cavity
4. Rarely fractures

Correct answer: 3. No medullary cavity

Explanation: Ans:C.)No medullary cavity. Peculiarities of Clavicle: It has no medullary cavity It is the first bone to ossify in the fetus (5th-6th week) It is the only long bone having 2 primary centers of ossification (others have only 1) It is the only long bone that ossifies in membrane and not in cartilage It is the only long bone lying horizontally It is the most common fractured long bone in the body It is subcutaneous throughout